Proteins are linear polymers of amino acids. They fold compact structures. Sometimes, these folded structures associate to form homo-or hetero-dimers. Which one of the following refers to this associated form?
1. Denatured state
2. Molecular aggregation
3. Precipitation
4. Quaternary structure

Correct answer: 4. Quaternary structure

Explanation: Quaternary structure defines the polypeptide composition and spatial relationship between subunits or protomers of proteins that are assembled from more than one polypeptide units. Monomeric and Dimeric proteins are examples of quaternary structure. Ref: Textbook of Biochemistry By DM Vasudevan, 3rd Edition, Page 129; Harper's Illustrated Biochemistry, 26th Edition, Chapter 5, Page 34